Chandipura virus multiplies in
1. Sandfly
2. Black fly
3. Simulum fly
4. Rat flea

Correct answer: 1. Sandfly

Explanation: Chandipura virus multiplies in sandflies and Aedes Mosquitoes.